Triple assessment for carcinoma breast includes:
1. History, clinical examination & mammogram
2. History, clinical examination & FNAC
3. USG, Mammogram & FNAC
4. Clinical examination, Mammogram & FNAC

Correct answer: 4. Clinical examination, Mammogram & FNAC

Explanation: Ans. D i.e. Clinical examination, Mammogram & FNAC